A 27 y/o female patient presents with multiple koebnerized Mollusca on her face. While reviewing past medical history, she reveals that she is human immunodeficiency virus positive and takes highly active antiretroviral therapy. Management:
1. Topical steroids
2. Perform excisional biopsy
3. Removal with curettage or cryosurgery
4. Cidofovir

Correct answer: 3. Removal with curettage or cryosurgery

Explanation: Molluscum contagiosum: Caused by MCV, a type of POX VIRUS In immunosuppressed individuals -Removal with curettage or cryosurgery is preferrable over cidofovir Cidofovir displays in vitro activity against many pox viruses